Shotgun does not contain use:
1. Barrel
2. Choke bore
3. Bullets
4. Muzzle

Correct answer: 3. Bullets

Explanation: Ans. Bullets